Normal courtesy of one doctor towards another is according to -
1. Medical etiquette
2. Medical ethics
3. Both
4. None

Correct answer: 1. Medical etiquette

Explanation: o Medical etiquettes: It refers to existing customs of brotherhood among members of medical profession, i.e. courtesy followed between members of medical profession, e.g. it is a custom not to charge another doctor or his close relatives.